A young basketball player with ht 188 cm and armspan 197 cm has a diastolic murmur best heard in second right intercostal space : likely cause of murmur is-
1. AS
2. Coarctation of aorta
3. AR
4. MR

Correct answer: 3. AR

Explanation: The murmur of chronic AR is typically a high-pitched, blowing, decrescendo diastolic murmur, heard best in the third intercostal space along the left sternal border. Since the patient has armspan more than height Murfan's syndrome is suspected. Most common valvualr heart disease associated with Murfan's syndrome is AR. ( Harrison's principle of internal medicine,18th edition)